Laplace's law for cylinder?
1. P = T/R PT ( 1/rl - l/r2)
2. P = 2T/R
3. P = T/R
4. None of the above

Correct answer: 3. P = T/R

Explanation: Ans. c (P = T/R) (Ref. Ganong Physiology 22nd/584)LAPLACE'S LAW states that wall tension (T) is proportional to the product of intraventricular pressure (P) and ventricular radius (r).-----------------------------T. p.r# P = 2T/R.... IN A SPHERE (BECAUSE R1=R2).# P = T/r.... In a Cylinder like blood vessel (one radius is infinite).Wall Tension: Law of LaolaceT = p x r# Tension (T) in wall# | pressure and radius -| tensionApplicationsArterial aneurysm:# Weak wall balloons# Vessel radius |, causing | wall tension# Tension causes radius (vicious cycle), increasing risk of ruptureDilated heart failure:# | ventricular volume-| ventricular radius, which in turn causes t wall tension# Dilated ventricle must work harder than normal heart